Anterior disc displacement with intermittent locking is:
1. Type 1
2. Type 2
3. Type 3
4. Type 4

Correct answer: 2. Type 2

Explanation: Disk displacement is divided into stages based on sign and symptoms combined with results of aging studies. A simple classification system divides ADD in to

anterior disc displacement with reduction (clicking joint)
anterior disc displacement with intermittent locking
anterior disc displacement without reduction (closed lock)